Most common psychiatric disorder seen with "PANDAS" is
1. Depression
2. OCD
3. Anxiety
4. Delusional disorder

Correct answer: 2. OCD

Explanation: PANDAS : Pediatric autoimmume neuropsychiatric disorder associated with streptococcal infections. Autoimmune response triggered by streptoocccal infections can lead to neuro psychiatric manifestations such as OCD and Tics.